In condylar fracture, anatomy of the joint get disturbed but function is normal, this type of joint is known as:
1. Dysarthrosis.
2. Metarthrosis.
3. Pseudoarthrosis.
4. None.

Correct answer: 2. Metarthrosis.